Time dependent Killing is exhibited by all the following drugs except:
1. Ceftriaxone
2. Vancomycin
3. Gentamicin
4. Meropenem

Correct answer: 3. Gentamicin

Explanation: * Time dependent killing(TDK) : Here, the killing activity depends upon the length of time, plasma concentration is above MIC. It is shown by:* Beta Lactams.* Vancomycin Concentration dependent killing(CDK) : Here, killing activity depends upon the ratio of plasma concentration to MIC.It is shown by:* Aminoglycosides.* Flouroquinolone* MetronidazoleSo, Gentamicin is the answer.